The structure connecting the posterior surface of lens to capsule is called?
1. hyaloideocapsular ligament of Weiger
2. Vitreous Base
3. cloquets’s canal
4. collagen fibres

Correct answer: 1. hyaloideocapsular ligament of Weiger

Explanation: (Refer: AK Khurana Comprehensive Ophthalmology, 6th edition, pg no. 258)

Hyaloideocapsular ligament of Weiger or retrolental ligament is a strong adhesion between the lens and posterior capsule.  It is a circular adhesion 8-9 mm in diameter.  This attachment is termed as Egger’s Line.  Which this circle is a potential space of Burger or Erggelet’s space